Pierre Robbin syndrome does not include
1. Hearing loss
2. Respiratory distress
3. Coloboma Iris
4. Mandibular dysplasia

Correct answer: 3. Coloboma Iris